Maastrichat classification category 3 stands for DCD donor of:
1. Brought dead patient
2. Cardiac arrest during brain dead
3. Awaiting cardiac death after withdrawal of supports
4. Cardiac arrest and unsuccessful resuscitation in hospital

Correct answer: 3. Awaiting cardiac death after withdrawal of supports

Explanation: Ref. Sabiston Textbook of Surgery. Pg. 877
 
MAASTRICHAAT CLASSIFICATION OF NHBD
Category 1 : Dead on arrival at hospital
Category 2 : Death with unsuccessful resuscitation .
Category 3 : Awaiting cardiac death .
Category 4 : Cardiac arrest while brain dead .